Perforation of a part of tympanic membrane with destruction of tympanic annulus is called:
1. Attic
2. Marginal
3. Subtotal
4. Total

Correct answer: 2. Marginal

Explanation: (b) Marginal(Ref. Scott Brown, 8th ed. Vol 2; 989)Perforation of a part of pars tensa with destruction of tympanic annulus is called marginal perforation.Attic perforation is perforation of the pars flaccida.Subtotal perforation is a perforation when a small margin of pars tensa all around is still there.Total perforation is perforation of whole of the pars tensa along with its annulus.